Hasse rule is related to
1. Age of fetus
2. Weight of fetus
3. Height of fetus
4. Severity of burns

Correct answer: 1. Age of fetus

Explanation: Ans) a (Age of fetus) Ref: Reddy 27th ed p68Rule of Hasse-It is used for calculating the age of the foetus. In the first five months of pregnancy the square root of crown rump length gives the approximate age of foetus in months.In the last five months the length in centimeters divided by 5 gives the age in months.